Paradoxical respiration seen in
1. Diaphragm rupture
2. Hemoperitoneum
3. Flail chest
4. Pneumothorax

Correct answer: 3. Flail chest

Explanation: Answer- C. Flail chest